Which of the following enzyme is NAD+ dependent?
1. HMG CoA reductase
2. Glycerol-3-phosphate dehydrogenase
3. Acyl CoA dehydrogenase
4. Succinate dehydrogenase

Correct answer: 2. Glycerol-3-phosphate dehydrogenase

Explanation: Dehydrogenases: 
These enzymes cannot utilize oxygen as hydrogen acceptor. 
They catalyse the reversible transfer of hydrogen from one substrate to another and, thus, bring about oxidation reduction reactions. 
There are a large number of enzymes belonging to this group
NAD+ dependent dehydrogenases, e.g. alcohol dehydrogenase, glycerol 3-phosphate dehydrogenase.
NADP+ dependent dehydrogenasese,.e.g. HMC CoA reductase ,enoyl reductase.
FMN dependent dehydrogenasese,. e.g. NADH dehydrogenase.
FAD dependent dehydrogenasese, e.g. succinate dehydrogenase, acyl CoA dehydrogenase.
The cytochromes: All the cytochromes of electron transport chain (b, c, and c) except the terminal cytochrome oxidase (a+a3) belong to this group.
Key Concept:
Dehydrogenases catalyse the reversible transfer of hydrogen from one substrate to another and, thus, bring about oxidation reduction reactions.
NAD+ dependent dehydrogenases, e.g. alcohol dehydrogenase, glycerol 3-phosphate dehydrogenase
Ref : Textbook of Biochemistry, Satyanarayana